Treatment for stage T3 N1 of carcinoma maxilla is:
1. Radiation therapy only
2. Chemotherapy only
3. Surgery and radiation
4. Chemotherapy and radiation

Correct answer: 3. Surgery and radiation

Explanation: Ans. (c) Surgery and radiationRef: Bailey 26/e p718Carcinoma of Sinuses:* MC sinus involved - Maxillary Sinus > Ethmoidal sinus* Maxillary tumors spread to Submandibular Nodes (Level 1)* Ethmoid tumors spread to Jugulo-digastric (Level 2) nodes* Sinus cancers are common in people working in Furniture industry, Nickel Industry and leather industry.* Exposure to Mustard causes Sinus cancers.* More than 80% are Squamous cancers.* Treatment of SCC Maxillary sinus - Combined Surgery + RT